Which of the following is not seen in congenital hypothyroidism?
1. Delayed bone age
2. Delayed puberty
3. Short metacarpals
4. Large anterior fontanelle

Correct answer: 3. Short metacarpals

Explanation: Short metacarpals are seen in Turner's syndrome. Infants with congenital hypothyroidism are usually born at term or after term. Symptoms and signs include the following: Decreased activity Coarse facial features Macroglossia Umbilical hernia Mottled, cool, and dry skin Developmental delay Large anterior fontanelle Poor feeding and weight gain Small stature or poor growth Jaundice Pallor Myxedema Decreased stooling or constipation Hypotonia Hoarse cry Goiter Often, they are described as "good babies" because they rarely cry and sleep most of the time. A small but significant number (3-7%) of infants with congenital hypothyroidism have other birth defects, mainly atrial and ventricular septal defects. Anemia may occur, due to decreased oxygen carrying requirement.